Corneal curvature is measured by
1. Keratometry
2. Pachymetry
3. Gonioscopy
4. Perimetry

Correct answer: 1. Keratometry

Explanation: The 'Keratometry' or 'ophthalmometry' is an objective method of estimating by measuring the curvature of the central cornea Gonioscopy- Biomicroscopic examination of the angle of the anterior chamber Perimetry-Procedure of estimating the extent of visual fields Tonography- a Non-invasive technique for determining the facility of aqueous outflow (C- value) Reference : AK Khurana Comprehensive Ophthalmology, 6th edition, pg no. 575